The posterior urethra is best visualized by –
1. Static cystogram
2. Retrograde urethrogram
3. Voiding cystogram
4. CT cystogram

Correct answer: 3. Voiding cystogram

Explanation: Micturating / Voiding cystourethrography is the best method to visualize posterior urethra, posterior urethral valve and vesico ureteric reflux.